Bosentan is a/an :
1. Serotonin uptake inhibitor
2. Endothelin receptor antagonist
3. Leukotriene modifier
4. Phosphodiestease inhibitor

Correct answer: 2. Endothelin receptor antagonist